Most common age group affected with Infantile Colic is between
1. 0-3 months
2. 4-6 months
3. 7-9 months
4. 10-12 months

Correct answer: 1. 0-3 months

Explanation: Infantile colicRule of threeCrying > 3 hours/day---- > 3 days/week for > 3 weeks.Facial grimacing, drawing up of legs and passing flatus.An infant usually outgrows colic by 3 to 4 months of age(Refer: Nelson's Textbook of Paediatrics 19thedition, pg no: chapter - 11)